During diastole, arterial pressure is maintained by
1. Elastic recoil of aorta
2. Musculature of arteries
3. Constriction of capillaries
4. Contraction of left ventricle

Correct answer: 1. Elastic recoil of aorta